Flaying is seen in which type of laceration -
1. Tear
2. Avulsion
3. Split
4. Stretch

Correct answer: 2. Avulsion

Explanation: The synopsis of forensic medicine & toxicology ; Dr k.s.narayan reddy ;28th edition ; Pg.no. 110 & 111 . Flaying comes under avulsion .The shearing & grinding force by a weight ,such as lorry wheel passing over a limb ,may produce seperation of skin from underlying tissue (avulsion ) over a relatively large area .This is called "FLAYING" .The underlying muscles are crushed and the bones are fractured .